Prolactin:
1. Has somatotropic activity.
2. It flow can cause infertility in women.
3. Can suppress menstrual cycle in lactating women.
4. Levels are increased by dopamine.

Correct answer: 3. Can suppress menstrual cycle in lactating women.

Explanation: Prolactin, though structurally related to growth hormone does not share its somatotropic activity. Dopamine binds to the lactotropes and inhibits the synthesis and release of prolactin. Hyperprolactinemia suppresses the hypothalamic-pituitary-gonadal axis, causes infertility in women and suppresses the normal menstrual cycle in lactating women.